Apart from deltoid, which rotator cuff muscle is supplied by axillary nerve?
1. Supraspinatus
2. Infraspinatus
3. subscapularis
4. Teres minor

Correct answer: 4. Teres minor

Explanation: Ans. D. Teres minorThe muscles supplied by Axillary nerve are Deltoid and Teres minor (Rotator cuff muscle).